Which of the micromineral is a constituent of vitamin B12 -
1. lodine
2. Zinc
3. Cobalt
4. Iron

Correct answer: 3. Cobalt

Explanation: Ans. is 'c* i.e., Cobalt o Vitamin B12. is a corrinoid, i.e. cobalt-containing compound possessing the corrin ring.Microminerals or trace elementsChromiumPotentiate the effect of insulinImpaired glucose metabolismCobaltConstituent of vitamin B12QMacrocytic anemiaCopperConstituent of oxidase enzymes, e.g., tyrosinase, lysyl oxidase, superoxide dismutase, cytochrome oxidase, ferroxidase and ceruloplasmin, involved in iron absorption and mobilization'Microcytic hypochromic anemia, depigmentation of skin, hair. Excessive deposition in the liver in Wilson's disease, Menkes disease (''Kinky" or "steely" hair disease) due to copper- binding P-type ATPase gene mutationFluorideConstituent of bone and teeth strengthens bone and teethDental cariesIodineConstituent of thyroid hormones (T3 and T4)Cretinism in children and goiter in adultsIronConstituent of heme and non-heme compounds and transport, storage of 02, cytochrome oxidase, xanthine oxidase, catalase, peroxidaseMicrocytic anemiaManganeseCofactor for a number of enzymes, e.g., arginase, carboxylase, kinase, enolase, glucosyltransferase, phosphoglucomutaseNot well definedMolybdenumConstituent of xanthine oxidase, sulfite oxidase, and aldehyde oxidaseXanthinuriaSeleniumAntioxidant, a cofactor for glutathione peroxidase, protects the cell against membrane lipid peroxidationCardiomyopathyZincCofactor for enzymes in DNA, RNA and protein synthesis, a constituent of insulin, carbonic anhydrase. carboxypeptidase, LDHQ alcohol dehydrogenase, alkaline phosphatase, glutamate dehydrogenase. Porphobilinogen synthase, superoxide dismutase.Growth failure, impaired wound healing, defects in taste and smell, loss of appetite